MECHANISM OF RESISTANCE TO PENCILLIN BETA LACTAMASE IS :
1. ALTERED PENCILLIN BINDING PROTIENS
2. DRUG EFFLUX
3. BREAKS DRUG STRUCTURE
4. ALTERATION IN 50S RIBOSOME STRUCTURE

Correct answer: 3. BREAKS DRUG STRUCTURE

Explanation: REF : KD TRIPATHI 8TH ED